Maximum number of oogonia is seen at
1. Puberty
2. 20th week of gestation
3. At birth
4. 20 years age

Correct answer: 2. 20th week of gestation

Explanation: Maximal number of oogonia is achieved at 20th week of gestation.